Global rupture due to blunt trauma is indicated by
1. Blow out fracture
2. Lens sublu xati on
3. Contusion + haemorrhage + low intraocular pressure
4. Proptosis and decreased mobility of muscle

Correct answer: 3. Contusion + haemorrhage + low intraocular pressure

Explanation: C i.e. Contusion + Haemorrhage + Low intraocular pressure Complications of Blunt Trauma Voissius ring (on anterior surface of lens) Q Rossette shaped cataract Q Angle recession with secondary glaucoma Q Global rupture indicated by contusion, haemorrhage & low intraocular pressure Q Hyphaema with elevated lop